Spread of chicken pox is maximum ?
1. After formation of scab
2. Just before and after onset of rash
3. One week before onset of rash
4. During convelescence

Correct answer: 2. Just before and after onset of rash

Explanation: Ans. is 'b' i.e., Just before and after onset of rash Communicable period (period of maximum infectivity) in chicken pox is 2 days before to 5 days after onset of rash.